Number of prosthetic groups in a hemoglobin molecule ?
1. 1
2. 2
3. 3
4. 4

Correct answer: 4. 4

Explanation: Ans. is 'd' i.e., 4 Hemoglobin is a conjugated protein which has a tetrameric structure. It is an assembly of four globular proteins. Each subunit is composed of a protein part, i.e. globin and a nonprotein prosthetic group, i.e. heme. Each hemoglobin molecule is made up of 4 heme molecules and 4 polypeptide chains (2 pairs of similar polypeptide chains). Hemoglobin=Globin (containing 4 polypeptide chains)+ 4 heme molecules